Supra gingival plaque causes
1. Gingivitis
2. Periodontitis
3. Pericoronitis
4. Aphtous ulcers

Correct answer: 1. Gingivitis